True about ECG changes include all except: -
1. Hypokalemia- U wave
2. Hyperkalemia-Tall T waves
3. Hyponatremia- Q waves
4. Hypocalcemia- Prolonged QT interval

Correct answer: 3. Hyponatremia- Q waves

Explanation: Hypokalemia- prominent U wave Hyperkalemia-tenting of T wave Hypocalcemia-prolonged QT interval